A phenotypically normal woman underwent a karyotype analysis for difficulties in conceiving. She was found to contain three Barr bodies, but no translocations or large deletions. Her karyotype would be best represented by which one of the following?
1. 48 XXXXY
2. 46 XX
3. 48 XXXX
4. 48 XXXY

Correct answer: 3. 48 XXXX

Explanation: If the woman is expressing three Barr bodies, then she has four X chromosomes per cell, three of which have been inactivated. This would give her a total of 48 chromosomes, and four of those would be X chromosomes, for a karyotype of 48 XXXX. Any karyotype with a Y chromosome would be a male.